Commonest type of seizure in newborn:
1. Clonic
2. Tonic
3. Subtle
4. Myoclonic

Correct answer: 3. Subtle

Explanation: Important facts about neonatal seizures: Most common type of seizures: Subtle seizures Most common cause: Hypoxia